Mark a FALSE statement about Malar telangiectasia .
1. Mutations in the ABCC6 gene
2. Plum-red discolouration of the cheeks
3. Due to CO2 retention
4. Associated with mitral stenosis

Correct answer: 1. Mutations in the ABCC6 gene

Explanation: Malar telangiectasia /Malar Flush : Plum-red discolouration of the cheeks Associated with mitral stenosis Due to CO2 retention and its vasodilatory effects. SLE: Malar rash Mitral valve prolapse (Floppy valve syndrome): 2 Mitral valve flaps do not close smoothly or evenly, instead bulge (prolapse) upward into the left atrium. Mitral valve prolapse is aka click-murmur syndrome or Barlow's syndrome. Pseudoxanthoma elasticum(PXE): Mutations in the ABCC6 gene cause PXE Characterized by the accumulation of deposits of calcium and other minerals in elastic fibers